A child presented with seizures. On examination an Oval hypopigmented macules noted on the trunk, Low IQ and angiofibroma on face. What is the most probable diagnosis
1. Tuberous sclerosis
2. Neurofibromatosis
3. Von-Hippel Lindan syndrome
4. Sturge - weber syndrome

Correct answer: 1. Tuberous sclerosis

Explanation: Vogt's triad of Tuberous sclerosis:- EPiloa